Sulfonylurea is shifted to insulin in pregnant lady because :
1. Sulphonylurea causes PIH
2. Increases demands during pregnancy not compensated by sulfonyl urea alone
3. Insulin does not cross placenta
4. Sulfonylurea depletes insulin from fetus-beta cell of pancreas

Correct answer: 3. Insulin does not cross placenta

Explanation: Insulin does not cross placenta